1711. All are true regarding Anaemia of Chronic Diseases, except -
1. Decreased serum Fe
2. Decreased Ferritin
3. Decreased Total Fe Binding Capacity
4. Increased Bone Marrow Fe

Correct answer: 2. Decreased Ferritin

Explanation: Serum ferritin levels are increased in anemia of chronic disorder & is the most distinguishing feature between true iron deficiency anemia & iron deficient erythropoiesis in anemia of disease.

A defect in transfer of iron from macrophages to the developing erythroid cells in the marrow leads to reduced availability of iron for haem synthesis despite adequate iron stores, elevating serum ferritin levels.

Reference : Hardh mohan textbook of pathology sixth edition pg no 302.